The earlies antibody marker to appear In the serum in Hepatitis B virus infection Is-
1. Anti-HBs
2. Anti-HBe
3. Anti-HBc
4. Anti-Hbx

Correct answer: 3. Anti-HBc

Explanation: Davidson's principles and practice of medicine 22nd edition. #HBc Ag is not found in blood but antibody to it appeared early in the illness (incubation period) and rapidly reached a high titre which subsides gradually but then persist.